Conn's syndrome is
1. Primary hyperaldosteronism
2. Secondary hyperaldosteronism
3. Primary hypoaldosteronism
4. Secondary hypoaldosteronism

Correct answer: 1. Primary hyperaldosteronism

Explanation: Primary hyperaldosteronism (Conn's syndrome ) is defined by hypertension, as a result of hypersecretion of aldosterone. In PHA, plasma renin activity is suppressed.The most frequent cause of Primary hyperaldosteronism is a unilateral adrenocortical adenoma. Apart from hypertension, patients complain of non-specific symptoms: headache, muscle weakness, cramps, neurological events, polyuria, polydypsia, and nocturia.Ref: Bailey and Love 27e pg: 841